The glomus tumor invasion of jugular bulb is diagnosed by
1. Carotid angiography
2. Vertebral venousvenography
3. X-ray
4. Jugular venography

Correct answer: 4. Jugular venography

Explanation: MRI - gives soft tissue extent of tumor; Magnetic Resonance Angiography (MRA) shows compression of the carotid artery whereas magnetic resonance venography shows invasion of jugular bulb by the tumor.